Haptaglobin levels are decreased in:
1. A mismatched transfusion reactions
2. Thalassemia
3. G 6PD deficiency
4. All of the above

Correct answer: 4. All of the above

Explanation: Answer is D (All of the above) Decreased haptaglobin levels may occur in all cases of hemolysis. Although decreased haptaglobin levels are more characteristic of intravascular hemolysis, decreased levels are also seen in cases of extravascular hemolvsis. Heptaglobin levels and hemolysis (Hematology for Student's by Mackinney (2003)/78, 79 Normal plasma contains haptoglobin, an a2- globulin that can bind free haemolglobin During intravascular hemolysis as levels of free haemoglobin rise significantly, the levels of serum haptoglobin are observed to be very low or absent Even in Extravascular hemolysis, enough haemoglobin levels leaks out of the macrophages to bind with and deplete haptaglobin Therefore A low serum haptaglobin concentration is a good test of hemolysis butt is not specific for intravascular hemolysis. Parameter Extravascular hemolysis Intravascular hemolysis Haptaglohin Low Very low/Absent